Which of the following is nephrotoxic -
1. Halothane
2. Methoxyflurane
3. Ether
4. Cyclopropane

Correct answer: 2. Methoxyflurane

Explanation: Ans. is 'b' i.e., Methoxyflurane o Intrarenal metabolism of methoxyflurane and subseuent intrarenal production offlouride ion is the significant cause of methoxyflurane renal toxicity.o It can cause high output renal failure.o It was the most potent inhalation agent (least MAC), but not used now (now Halothane is most potent).o It should not be used in closed circuit (reacts with rubber tubing of the closed circuit).